Which of the following aminoacids in a protein commonly acts as a potential 0-Glycosylation site for attachment of an oligosaccharide unit:
1. Glutamine
2. Cysteine
3. Serine
4. Asparginine

Correct answer: 3. Serine

Explanation: C i.e. Serine